Subcutaneous vaccine is -
1. BCG
2. Polio
3. DPT
4. Measles

Correct answer: 4. Measles

Explanation: Ans. is 'd' i.e. measles Mode of administration of vaccines* BCG* intradermal* OPV* oral* DPT* Intramuscular* Measles* subcutaneously